Pressure of Nitrous oxide cylinder at 100% and 40% volume respectively measured by pressure gauge is:
1. 750 Psi and 500 Psi
2. 750 Psi and 750 Psi
3. 750 Psi and 375 Psi
4. 750 Psi and 275 Psi

Correct answer: 2. 750 Psi and 750 Psi

Explanation: In cases of gases which are in liquid form in cylinder ( N2O) , pressure gauze shows always full till it becomes Zero Thus in case of N2O , whether cylinder has 100% or 40% volume , pressure gauze will always show 750 Psi.